Wernick's encephalopathy is caused by deficiency of
1. Thiamine
2. Cyanocohalamine
3. Niacin
4. Riboflavin

Correct answer: 1. Thiamine